The most common complication of transurethral resection of prostate (TURP):
1. Erectile dysfunction
2. Retrograde ejaculation
3. Urinary incontinence
4. Urethral stricture disease

Correct answer: 2. Retrograde ejaculation

Explanation: TURP- Gold standard treatment for BPH Complications of TURP- MC- Retrograde ejaculation (75% of cases)- Impotence (10% of cases)- Incontinence (<1% of cases) Retrograde ejaculation Erection is due to parasympathetic system and Ejaculation is due to sympathetic system. Internal urinary sphincter is under the control of L1 sympathetic ganglion Normally, at the time of ejaculation, Internal urinary sphincter is closed. Retrograde ejaculation is seen after o TURP (Injury of Internal urinary sphincter) o Bilateral Lumbar sympathectomy o a Blockers (Relaxation of Smooth muscles of internal urinary sphincter) -Late complications* MC- Bladder neck stenosis (4%) > Urethral Stricture (3.6%)